In reproductive and child health programme,districts are divided on the basis of –
1. Crude birth rate & infant mortality rate
2. Crude birth rate & female literacy rate
3. Crude death rate & crude birth rate
4. Couple protection rate & infant mortality rate

Correct answer: 2. Crude birth rate & female literacy rate